Topical steroids can be used in:
1. Herpetic keratitis
2. Herpetic dendrite
3. Disciform keratitis
4. All

Correct answer: 3. Disciform keratitis

Explanation: C i.e. Disciform keratitis Both topical antiviral and topical steroid used for treatment Q in Stromal Keratitis (Disciform keratitis & Diffuse stromal necrotic keratitis) Coicoseroids are used topically & as sub-conjuctival injection in Uveitis. Acute cases of pars planitis/intermediate uveits/ chronic posterior cyclitis resolve spontaneously, but chronic cases have poor prognosis, though coicosteriods have a place in treatment. Options (A) & (B) are contra-indications of steroids.